Renshaw inhibition
1. Feedback facilitation
2. Feed forward inhibition
3. Feed forward facilitation
4. Feedback inhibition

Correct answer: 4. Feedback inhibition

Explanation: The feedback inhibition, also known as Renshaw cell inhibition, is known to occur in spinal alpha motor neurons through an inhibitory inter-neuron. In feedback inhibition, a neuron inhibits that very neuron (s) that excite it. In this way, firing of an action potential by a motor neuron of the spinal cord is followed by a phase of hyperpolarization (inhibition) of not only the same motor neuron but also many others in the neighborhood. The feedback inhibition is thus basically a post-synaptic inhibition but is classified separately because the inhibitor Renshaw cells are activated by collateral of the ventral horn cell rather an afferent neuron. This type of feedback inhibition is also seen in other parts of CNS as well. It serves to limit the excitability of the motor neurons. Ref: guyton and hall textbook of medical physiology 12 edition page number: 677,678,679